Primary hyperaldosteronlsm does not have -
1. Ankle oedema
2. Polyuria
3. Hypertension
4. Hypokalemia

Correct answer: 1. Ankle oedema

Explanation: hypokalemia due to potassium depletion in the body , hypertension due to increased sodium reabsorption , ankle edema absent as there is no CCF or renal failure ( Harrison 17 pg 2260)